Which of the following structures is involved in the paramedian infarction of the base of the pons?
1. Anterior spinocerebellar tract
2. Descending trigeminal tract
3. Pyramidal tract
4. Rubrospinal tract

Correct answer: 3. Pyramidal tract

Explanation: Base of the pons includes corticospinal (pyramidal), corticobulbar, corticopontine tracts, pontine nuclei, and transverse pontine fibers. so in paramedian infarction of base of pons corticospinal (pyramidal ) tract is affected.